One of the following is not true about nesiritide ?
1. It is a brain natriuretic peptide analogue
2. It is used in actuely decompensated heart failure
3. It has significant oral absorption
4. It has a short half-life

Correct answer: 3. It has significant oral absorption

Explanation: Ans. is 'c' i.e., It has significant oral absorption o Nesiritide is a recombinant form of human BNP (Brain natriuretic peptide) that dilates the arterial and venous circulation in a balanced manner.o It is only available for parentral administration (oral bioavilability is poor)o It has been approved for use in acute cardiac failure.o Its t1/2 is only 18 minutes.